Triple test for diagnosis of down's syndrome includes all of the following except :
1. b - HCG
2. a- Fetoprotein
3. Serum HPL level
4. Serum oestriol level

Correct answer: 3. Serum HPL level

Explanation: Answer is C (Serum HPL levels) Serum HPL is not included as a parameter within the 'triple test' fir downs syndrome Triple Test : It is used in the detection of Downs syndrome. Q In an affected pregnancy : - level of MSAFP is decreased Q - level of oestriol is decreased Q - levels of hCG is High (increased) Q This test only gives a risk ratio and result is considered positive if risk ratio is 1 : 2 For confirmation Amniocentesis has to be doneQ It is performed between 16 to 18 weeks.Q